A male client was involved in a vehicular accident and developed an amnesia. He is likely having a damage in which of the following
1. Hypothalamus
2. Thalamus
3. Cerebrum
4. Hippocampus

Correct answer: 4. Hippocampus

Explanation: D: The hippocampus is associated mainly with memory, particularly, long-term memory.
A: Hypothalamus controls vital bodily functions such as hunger, thirst, body temperature, and hormone secretion.
B: Thalamus influences mood and registers an unlocalized, uncomfortable perception of pain.
C: Cerebrum controls brain functions such as language, logic, reasoning, and creativity.